True about composition of hospital waste –
 a) Metal 1%
 b) Paper 15%
 c) Glass 5%
 d) Infectious waste 3%
 e) Plastica 3%
1. ab
2. bc
3. cd
4. ae

Correct answer: 1. ab